Frontal sinus drain into -
1. Superior meatus
2. Inf. meatus
3. Middle meatus
4. Ethmoid recess

Correct answer: 3. Middle meatus